The lens is derived from -
1. Surface Ectoderm
2. Endoderm
3. Mesoderm
4. Neuroectoderm

Correct answer: 1. Surface Ectoderm